All of the following drugs can precipitate Tacrolimus toxicity, except:
1. Gentamycin
2. Cisplatin
3. Vancomycin
4. Rifampicn

Correct answer: 4. Rifampicn

Explanation: Rifampicin increases the rate of tacrolimus metabolism (Induces CYP4503A) and thereby tends to reduce serum levels of tacrolimus. This may lead to reduced therapeutic efficacy of tacrolimus but not enhanced toxicity. Ref: Applied Clinical Pharmacokinetics By Baver, 2nd Edition, Page 687; Essentials of Medical Pharmacology By K D Tripathi, 5th Edition, Pages 681-3; Mechanism of Action of BNP7787, A Novel Chemoprotective Agent By Dakshine Shanmugarajah, The University of Texas Health Science Center at San Antonio, Pages 5-6